The ascending palatine artery is a branch of:
1. Ascending pharyngeal artery
2. First part of the facial artery
3. Pterygopalatine part of the maxillary artery
4. Sphenopalatine theory

Correct answer: 2. First part of the facial artery